Infant mortality rate does NOT include:
1. Post neonatal Mortality
2. Early neonatal Mortality
3. Perinatal Mortality
4. Late neonatal Mortality

Correct answer: 3. Perinatal Mortality

Explanation: Ans (c) Perinatal MortalityRef : K. Park 23rd ed. / 567, 19th/ 449 fig 9Perinatal Mortality Rate (PMR)PMR =--------------------------------------Live births in the same year x 1000Perinatal Mortality Rate (PMR)=Late fetal deaths + Early neonatal deaths----------------------------------Late fetal deaths + live birthsx 100Where Late fetal means 28 weeks gestation or more; Early neonatal means first week